Vitamin for which RDA is based on protein intake is:
1. Niacin
2. Riboflavin
3. Pyridoxine
4. Thiamine

Correct answer: 3. Pyridoxine

Explanation: Ans. C. Pyridoxine(Ref: Harper 31/e page 533-540)The RDA of Pyridoxine is dependent on Protein intake.The RDA of Thiamine is dependent of Carbohydrate intake.